After tonsillectomy, a 9 year old child is having continuous bleeding. Bleeding time and PTT are prolonged. Platelet count and PT are normal. What is your diagnosis
1. Von willebrand disease
2. Vitamin K deficiency
3. Immune thrombocytopenic purpura
4. Hemophilia A

Correct answer: 1. Von willebrand disease

Explanation: Ans. (a) Von Willebrand disease(Ref: Robbins 9th/pg 661)a. Von willebrand disease: True: Bleeding time and aPTT prolonged, PT and platelet count normalb. Vitamin K deficiency: False: PT prolongedc. Immune thrombocytopenic purpura: False aPTT is normald. Hemophilia A: Flase: Bleeding time normal